Cardiac contractility is inhibited by -a) Digitalis useb) Respiratory acidosisc) Metabolic alkalosisd) ↓PO4e) Hypothermia
1. abc
2. ade
3. ace
4. bde

Correct answer: 4. bde